All of the following are the components of the score used to assess respiratory distress in a term neonate EXCEPT?
1. Respiratory rate
2. Grunt
3. Central cyanosis
4. Wheeze

Correct answer: 4. Wheeze

Explanation: Downe score is used to assess respiratory distress in a term neonate. 5 criterion, based on which Downe score is done: Respiratory Rate, Retractions, Cyanosis, Air entry, Grunting. Wheeze is not a component of the Downe's score used to assess respiratory distress in a term neonate